Which of the following cells do Natural killer cells attack?
1. Cells which express MHC 1
2. Cells which are not able to express MHC 1
3. MHC cells which express MHC 2
4. Cells which are not able to express MHC

Correct answer: 2. Cells which are not able to express MHC 1

Explanation: . Cells which are not able to express MHC 1